Haabs striae are seen in-
1. Buphthalmos
2. Keratoglobus
3. Trachoma
4. Keratoconus

Correct answer: 1. Buphthalmos

Explanation: Haabs striae -Tears and breaks in descemets membrane . These occur because Descemt's membrane is less elastic than the corneal stroma. Tears are usually peripheral, concentric with the limbus and appear as lines with double contour. Ref:Comprehensive ophthalmology-AK Khurana 6th edition chapter-10 page no:226